Strongest sutural joint among the following
1. Coronal Suture
2. Lambdoid suture
3. Interpalatine suture
4. Temporaparietal suture

Correct answer: 2. Lambdoid suture

Explanation: Lambdoid suture is a dentianlate suture joint which is strongest among the given options.